Plant penicillin is -
1. CarbamateT
2. OPC
3. Endrin
4. DD

Correct answer: 3. Endrin

Explanation: Organochlorine insecticides are chlorinated hydrocarbons and are divided into four types as: * DDT (dichlorodiphenyl-trichloroethane) and analogues * Benzene hexachloride group -- e.g. BHC, lindane * Cyclodines and related compounds -- e.g. endrin, aldrin,dieldrin, endosulfan, sobenzan * Toxaphene and related compounds -- e.g. toxaphene ENDRIN-plant penicillin,broad spectrum of activity against insect pests REF;THE SYNOPSIS OF FORENSIC MEDICINE:KS NARAYANA REDDY;28th EDITION;PAGE NO 294